Diagnosis of Myasthenia Gravis is by using -
1. Edrophonium
2. Neostigmine
3. Succinylcholine (SCh)
4. Atropine

Correct answer: 1. Edrophonium

Explanation: Ans. is 'a' i.e., Edrophonium Edrophonium (anticholinesterase) injected slowly i.v improves muscle strength only in myaesthenia gravis and not in other muscular dystrophies.